Central nervous system develops from ?
1. Ectoderm
2. Endoderm
3. Mesoderm
4. All three germ layers

Correct answer: 1. Ectoderm

Explanation: Nervous system develops from ectoderm (neuroectoderm).